Christmas factor is:
1. PTA
2. PTC
3. VWA
4. Prothrombin

Correct answer: 2. PTC